A 35-year-old G4P3 at 18 weeks presents with sequential screening( Dual and then triple marker screening) of 1:170 for Down syndrome. You should do which of the following?
1. Offer CVS
2. Advise her the risk is quite small for aneuploidy
3. Perform a targeted ultrasound
4. Offer genetic counseling and perform Amniocentesis

Correct answer: 4. Offer genetic counseling and perform Amniocentesis

Explanation: At age 35 should the patient should be offered genetic counseling and Amniocentesis. CVS is not appropriate at 18 weeks' gestation If required; the invasive test of choice here is Amniocentesis.